Visual field defect in pituitary tumour with supracellar extension is
1. Bitemporal hemianopia
2. Binasal hemianopia
3. Homonymous hemianopia
4. Pie in the sky vision

Correct answer: 1. Bitemporal hemianopia

Explanation: A i.e. Bitemporal hemianopia